Vomiting on the first day of baby's life may be caused by all of the following except-
1. Pyloric stenosis
2. Oesophageal atresia
3. Aerophagy
4. Amniotic gastritis

Correct answer: 1. Pyloric stenosis

Explanation: Ans. is 'a' i.e., Pyloric stenosis